Recall bias is most commonly associated with which study design-
1. Case control study
2. Cohort study
3. Cohort case control study
4. Cross sectional study

Correct answer: 1. Case control study

Explanation: .
1`when cases and controls are asked questions about their past history,it may be more likely for the cases to recall the existence of certain events or factors,than the controls who are healthy individuals.cases may have a different recall of past events than controls.

ref;park's textbook of preventive and social medicine,22 nd edition,pg no 71